Schwalbe's line is the peripheral limit of which layer of cornea?
1. Bowman's layer
2. Stroma
3. Descemet's layer
4. Endothelium

Correct answer: 3. Descemet's layer

Explanation: Ans. is 'c' i.e., Descemet's layer Histology of corneao The cornea has five distinct layers (from superficial to deep)Epithelium It is the outermost part of cornea and is composed of stratified squamous non-keratinized epithelial cells.Bowman's membrane : - It is not a true membrane but simply a condensed superficial part of stroma. Once destroyed, it does not regenerate.Stroma (Substantia propria): - This layer constitutes most of the cornea (90% of thickness). It consists of collagen fibrils (lamellae) embedded in hydrated matrix of proteoglycans.Descemet's membrane : - This layer bounds the stroma posteriorly. In the periphery it appears to end at the anterior limit of trabecular meshwork as Schwable's ring.Endothelium : - It is a single layer of flat polygnonal cells. The endothelial cells contain 'active-pump* mechanism and is the most important layer in maintaining the transparency of cornea.